Sequence which is responsible for retaining proteins in membrane
1. Translocon
2. Sec 61 complex
3. Docking protein
4. Halt signal

Correct answer: 4. Halt signal

Explanation: D i.e. Halt signal